Meniere's disease is characterised by all except -
1. Diplopia
2. Tinnitus
3. Vertigo
4. Fullness of pressure in ear

Correct answer: 1. Diplopia